Which of the following is an enzyme inhibitor?
1. Ketoconazole
2. Rifampicin
3. Tolbutamide
4. Phenobarbitone

Correct answer: 1. Ketoconazole

Explanation: Eg for enzyme inducers- phenytoin, phenobarbitone, carbamazepine, rifampin An enzyme inhibitor is a molecule that binds to an enzyme and decreases its activity. Since blocking an enzyme's activity can kill a pathogen or correct a metabolic imbalance, many drugs are enzyme inhibitors. eg for enzyme inhibitors: ketoconazole, grapefruit juice, ciprofloxacin, chloramphenicol Refer chart Pg.no 26. KD TRIPATHI SEVENTH EDITION